"Fried" Egg Colony is seen in culture of:
1. Mycoplasma
2. Legionella
3. Chlamydia trachomatis
4. Hemophilus

Correct answer: 1. Mycoplasma

Explanation: Mycoplasma